Treatment of choice for Echinococcus granulosus is?
1. Albendazole
2. Thio-bendazole
3. Mebendazole
4. Praziquantel

Correct answer: 1. Albendazole

Explanation: Albendazole REF: 11th edition of Goodman & Gilman's The Pharmacological Basis of Therapeutics p. 710 "Albendazole is the drug of choice for cystic Hydatid disease due to E. granulosus"